Angiotensin II Causes-
1. Vasoconstriction
2. Vasodilatation
3. Increased heart rate
4. Decreased heart rate

Correct answer: 1. Vasoconstriction

Explanation: Ans. is 'a' i.e., Vasoconstriction Actions of angiotensin 11 (A-II)o The most prominent action of A-II is vasoconstriction.o Angiotensin II is one of the most potent vasoconstrictors known, being four to eight times as active as epinephrine.o Vasoconstriction involves arterioles and venules and occurs in all vascular beds. However, it is less marked in cerebral, skeletal muscle, pulmonary and coronary vessels.o A-II increases the force of myocardial contraction by promoting Ca+2 influx.o A-II and A-II I are tropic to zona glomerulosa of adrenal cortex -| aldosterone secretion - Na+ & water retention.o A-II also has a direct action on kidney - promotes Na+, C1- and HCO2- reabsorption.o In brain, A II induces drinking behavior and ADH release. It also increases central sympathetic outflow.o A-II enhances sympethetic activity by peripheral action as well - It releases Adr from adrenal medulla, stimulates autonomic ganglia and increases the output of NA from adrenergic nerve endings.